In humour cells meiosis take place at
1. Adrenal
2. Adult ovary
3. prepubertal testes
4. Hypothalamus

Correct answer: 2. Adult ovary

Explanation: MEOSIS TAKES PLACE IN GONADS . REF : EMBRYOLOGY VISHRAM SINGH